The following statements regarding Turner syndrome are true except -
1. Occurence of Turner syndrome is influenced by maternal age.
2. Most patients have primary amenorrhoea.
3. Most patients have short stature.
4. Edema of hands and feet is an important feature during infancy.

Correct answer: 1. Occurence of Turner syndrome is influenced by maternal age.

Explanation: Occurence of Turner syndrome is not affected by maternal age. It is Down's syndrome which is affected by maternal age (Risk of Down's syndrome increases after 35 yrs. of maternal age*)